A 45-years old woman presents with a hard and mobile lumps in the breast. Next investigation is:
1. FNAC
2. USG
3. Mammography
4. Excision biopsy

Correct answer: 3. Mammography

Explanation: First investigation done in suspected case of breast cancer: MammographyQ Investigation of choice for diagnosis of breast cancer: BiopsyQ (trucut biopsy/core cut biopsy/ needle biopsyQ)